A 60-year-old man with hypertension presents to the emergency department complaining of vertigo, nausea, vomiting and postural instability. His vertigo began suddenly 2 hours ago and has been constant.Upon examination, the man cannot walk due to severe instability. The head impulse test is negative. There is left beating nystagmus on left lateral gaze and right beating nystagmus on right lateral gaze. Skew deviation is present with quick, vertical movements as each eye is uncovered. What is the most likely diagnosis?
1. Meniere's disease
2. Cerebellar infarction
3. Vestibular neuritis
4. BPPV

Correct answer: 2. Cerebellar infarction

Explanation: Head Impulse test +ve in: Meniere's disease Vestibular neuritis BPPV Based on the clinical findings, the patient is likely to have central vertigo. The other options (A,C & D) are causes of peripheral vertigo, cerebellar infarction is the only option that might present with central vertigo. Vertigo Peripheral causes Central causes Nystagmus Unidirectional, horizontal with some torsion nystagmus that beats towards affected side and never change direction. Can change direction & can be in any direction Presence of neurological deficit None Neurological deficits like diplopia, weakness, paraesthesia and dysarthria present Postural instability Pt. lean to the affected side lPt. falls randomly and unable to walk.